Dermatophytes involve-
1. Stratum corneum
2. Stratum lucidum
3. Stratum malpighian
4. Stratum basale

Correct answer: 1. Stratum corneum

Explanation: DERMATOPHYTOSIS Infection caused by dermatophytes. Superficial cutaneous infection. Affects stratum corneum layer of skin , hair and nails Trichophoton species affects skin , hair and nails Epidermophyton Affects skin and nails Microsporum Affects skin and hair Iadvl textbook of dermatology page page 253